Medium used to isolate M. tuberculosis contains all except ?
1. Malachite green
2. Hen's egg
3. Bromothymol blue
4. Glycerol

Correct answer: 3. Bromothymol blue

Explanation: Ans. is 'c' i.e., Bromothymol blue Lowenstein-Jensen Medium (LT medium)LJ medium consists of mineral salts, asparagine, glycerol, malachite green and hen's egg.The malachite green prevents the growth of other microorganism on medium.It is used as a primary isolation medium for mycobacteria.Mineral salts are monopotassium phosphate, magnesium or sodium citrate and magnesium sulphate